Drug used in CHF for relief of congestive symptoms and restoration of cardiac performance but does not have an inotropic action is -
1. Digoxin
2. Dobutamine
3. Amrinone
4. Nebivolol

Correct answer: 4. Nebivolol

Explanation: Ans. is 'd' i.e., Nebivolol * There are two distinct goals of drug therapy in CHF:a) Relief of congestive/low output symptoms and restoration of cardiac performance. This can be achieved by:* Inotropic drugs --Digoxin, dobutamine/ dopamine, amrinone/milrinone* Diuretics--Furosemide, thiazides* RAS inhibitors--ACE inhibitors/ARBs* Vasodilators--hydralazine, nitrate, nitroprusside* b blocker--Metoprolol, bisoprolol, carvedilol, Nebivololb) Arrest/reversal of disease progression and prolongation of survival, possible with:* ACE inhibitors/ ARBs, b blockers* Aldosterone antagonist--Spironolactone, eplerenone